Many abnormalities are due to abnormalities in tooth size is:
1. Carey's analysis
2. Bolton's analysis
3. Peck and peck analysis
4. Ashley Howe analysis

Correct answer: 2. Bolton's analysis